Granulomatous hepatitis may be seen with :
1. Carbamazepine
2. Allopurinol
3. Phenylbutazone
4. All of the above

Correct answer: 4. All of the above

Explanation: Answer is D (All of the above) Granulomatous Hepatitis has been implicated with the following drugs: PhenyIbutazoneQ Sulfimamides.Q INHQ AllopurinolQ QuinidineQ CarbamazepineQ